A 60 year male is brought by his wife. He thinks that he had committed sins all through his life. He is very much depressed and has considered committing suicide but has not thought about going for it. He had also attached sessions with a spiritual guru. He is not convinced by his wife that he has lead a pious life. He does not want to hear anything on the contrary. How will you treat him ?
1. Antipsychotic + Antidepressant
2. Antidepressant with cognitive behavioural therapy
3. Guidance & recounselling with guru + Antidepressant
4. Anti depressant alone

Correct answer: 1. Antipsychotic + Antidepressant

Explanation: The patient in question is presenting with features of depression and delusional guilt suggesting a diagnosis of depressive disorder with psychotic features. Such patients should be managed with a combination of Antipsychotics and antidepressants.